Differential white blood cell counts in the laboratory are useful in the diagnosis of:
1. Anemia
2. Eosinophilia
3. Vitamin deficiency
4. Spherocytosis

Correct answer: 2. Eosinophilia